False about intraductal papillary mucinous neoplasm is
1. CEA raised
2. Amylase raised
3. Equal in both males and females.
4. Treatment is begers procedure.

Correct answer: 4. Treatment is begers procedure.